Flare response in triple response occurs due to
1. Vasodilation due to release of secondary mediators
2. Chemotaxis, adhesion of leucocytes to vessel wall
3. Direct vessel injury
4. Increased permeability

Correct answer: 1. Vasodilation due to release of secondary mediators

Explanation: When the skin is stroked more firmly with a pointed instrument, instead of the white reaction there is reddening at the site that appears in about 10 s (red reaction). This is followed in a few minutes by local swelling and diffuse, mottled reddening around the injury. The initial redness is due to capillary dilation, a direct response of the capillaries to pressure. The swelling (wheal) is local edema due to increased permeability of the capillaries and postcapillary venules, with consequent extravasation of fluid. The redness spreading out from the injury (flare) is due to arteriolar dilation. This three-part response--the red reaction, wheal, and flare--is called the triple response and is part of the normal reaction to injury Ref: Ganong's Review of medical physiology 25th edition. Page: 613